Which of the following statements about 21 alpha hydroxylase deficiency is false
1. Most common cause of congenital adrenal hyperplasia in children
2. Affected females present with ambiguous genitalia
3. Affected males present with prococious puberty
4. Hypokalemic alkalosis is seen

Correct answer: 4. Hypokalemic alkalosis is seen

Explanation: Most common cause of congenital adrenal hyperplasia. 21 - hydroxylase deficiency should be suspected in neonates with ambiguous genitalia, polyuria, shock, recurrent vomiting and features of sepsis with a negative septic screen. In 21-hydroxylase deficiency, excessive androgenic activity causes signs of masculinization in females, ranging from clitoral hypertrophy and pseudohermaphroditism in infants (ambiguous genitalia) to oligomenorrhea, hirsutism, and acne in postpubertal females. In males, androgen excess is associated with enlargement of the external genitalia and other evidence of precocious puberty in prepubertal patients and oligospermia in older males And hypokalemic alkalosis is not a feature of 21-hydroxylase deficiency. Reference: OP Ghai essential paediatrics, 8th edition,page no 526